The anti-malarial drugs effective in preerythrocytic phase in liver are -
1. Proguanil
2. Chloroquine
3. Pyrimethamine
4. Quinine

Correct answer: 1. Proguanil

Explanation: Ans. is 'a' i.e., Proguanil o The pre-erythrocytic phase in Liver is targeted for causal prophylaxis. o Drugs acting on pre-erythrocytic cycle ? Proguanil Primarily for falciparum. Primaquine ---> For all species.